In which of the following disorders, administration of barbiturates is contraindicated
1. Anxiety disorders
2. Acute intermittent porphyria
3. Kernicterus
4. Refractory status epilepticus

Correct answer: 2. Acute intermittent porphyria

Explanation: Barbiturates induce the rate-limiting enzyme δ-amino clavulanic acid synthase' in porphyrin synthesis. This increased synthesis of porphyrins can precipitate an acute attack of AIP.